Wrong statement regarding GYRATE ATROPHY
1. It's deficiency of ornithine aminotransferase
2. AR inheritance pattern
3. Midperipheral chorioretinal punched out lesion
4. Treatment is Arginine rich diet

Correct answer: 4. Treatment is Arginine rich diet

Explanation: GYRATE ATROPHY * It's deficiency of ornithine aminotransferase * AR inheritance pattern * Elevated level of ornithine in blood * Midperipheral chorioretinal punched out lesion *Affected patients usually develop night blindness during the first decade of life and experience progressive loss of visual field and visual acuity later in the disease course. * Rx: Arginine free diet & vitamin B6 is given. Retina of patient having Gyrate Atrophy